Pronator teres syndrome is due to involvement of which of the following nerve:-
1. Radial nerve
2. Anterior interosseous nerve
3. Ulnar nerve
4. Median nerve

Correct answer: 4. Median nerve

Explanation: Pronator teres syndrome -Median nerve entrapment syndrome, -compressed between the heads of the pronator teres near the elbow C/F pain and tenderness in the proximal aspect of the anterior forearm, hypoesthesia of palmar aspects of the lateral three and half fingers and adjacent palm.